Which of the following group of proteins assist in the 'folding' of other proteins
1. Proteases
2. Proteosomes
3. Templates
4. Chaperones

Correct answer: 4. Chaperones

Explanation: Chaperones are proteins that play a role in the assembly or proper folding of other proteins without themselves being components of the later'
They prevent faulty folding and unproductive interactions of other proteins.
Properties of chaperones : 


Present in a wide range of species from bacteria to humans
Many are so-called 'Heat shock proteins' (HSP)
Some are inducible by conditions that cause unfolding or aggregation of proteins (e.g. Elevated temperature and various chemicals)
They bind to predominantly hydrophobic regions of unfolded or aggregated proteins
They act in part as a quality control or editing mechanism for detecting misfolded in the protein chaperone interaction
Found in various cellular compartments such as cytosol, mitochondria and lumen of endoplasmic reticulum. About other options


Proteases are enzymes that hydrolyze proteins
Proteosomes (e.g. 26S component) help in degrading the proteins marked with ubiquitin
The template is involved in the synthesis of nucleic acids